Acute disseminated encephalomyelitis (ADEM) is a white matter disease that is indistinguishable from multiple sclerosis by all except
1. Monophasic
2. Rapidly lethal
3. Associated with brainstem and spinal cord disease
4. Associated with MRI  lesions which may resolve

Correct answer: 1. Monophasic

Explanation: ADEM is a demyelinating disease of the brain ,brainstem and spinal cord that is indistinguishable from MS on MRI. However,it is monophasic,  that is  it occurs acutely on a single occasion and not in a recurrent fashion like MS.